Stainless steel crown was introduced by
1. Humphrey
2. Stewart
3. Mac Donald
4. Pinhalm

Correct answer: 1. Humphrey